All of the following drugs are administered orally except :
1. Ciprofloxacin
2. Cotrimoxazole
3. Gentamicin
4. Amoxicillin

Correct answer: 3. Gentamicin